Styalgia most common nerve affected ?
1. Glossopharyngeal nerve
2. Abducent nerve
3. Auditory nerve
4. Greater Petrosal nerve

Correct answer: 1. Glossopharyngeal nerve

Explanation: Ans. is'a'i.e., Glossopharyngeal nerveRef: Essentials of Otolaryngology by Frank E p. 221; Scott-Brown's Otolaryngology //e Vol .-2 p. 2081Elongated styloid process protrudes into the tonsillar fossa and puts pressure on the trigeminal, glossopharyngeal, vagus or facial nerves.